At what age do first permanent teeth appear?
1. 5 years
2. 6 years
3. 7 years
4. 8 years

Correct answer: 2. 6 years

Explanation: ANSWER: (B) 6 yearsREF: Nelson 18th Ed Ch 8Repeat 2013 Session 2